A 2 year old child presents with a history of accidental ingestation of kerosene. He has cough, dyspnea, high fever, and his chest radiograph shows ill-defined patchy opacities. What is the most probable diagnosis ?
1. Loeffler's syndrome
2. E.coli pneumonia
3. Allergic bronchopulmonary aspergillosis
4. Lipoid pneumonia

Correct answer: 4. Lipoid pneumonia

Explanation: Lipoid pneumonia or hydrocarbon pneumonia : kerosene exerts its toxic effects on lungs and central nervous system. poorly absorbed from gastrointestinal tract. milk and alcohol promote its absorption it has low viscocity and less surface tension and easily absorbed from pharynx to lungs. Clinical features:cough,dyspnoea,high fever,vomiting,drowsiness and coma Xray:ill defined homogeneous or patchy opacities,resembling miliary mottling of llungs. Treatment:patient is kept on oxygen.Gastric lavage and induction of vomiting are not done.corticosteroids have little beneficial effect. A: Chest radiography revealed bilateral reticular shadows in both mid and lower lung fields. B and C: High-resolution chest computed tomography scans revealed a geographic distribution of ground-glass opacities and associated thickening of the interlobular septa (crazy-paving patterns) in both lower lobes. Ref : ESSENTIAL PEDIATRICS,O.P.GHAI,PG NO:355, 7th edition